A high school child trained to teach dentistry to elementary children in school
1. Askov
2. SHARP
3. THETA
4. Tattle tooth program

Correct answer: 3. THETA